Organ of Corti is situated on:
1. Basilar membrane
2. Utricle
3. Saccule
4. None of the above

Correct answer: 1. Basilar membrane

Explanation: (a) Basilar membrane(Ref. Shambaugh, 6th ed., page 73)Organ of Corti rests on the Basilar membrane which separates Scala media from Scala tympani.Utricle and Saccule contain the sensory end organ of balance for linear acceleration known as maculae.